Multiple punched out lesions on skull X-ray is found in -
1. Down's
2. Hyperparathyroidism
3. Multiple myeloma
4. All

Correct answer: 3. Multiple myeloma

Explanation: Radiological features for multiple myeloma are : Multiple punched lytic lesions of skull with endosteal scalloping. Expansile lytic lesions with associated soft tissue masses Absence of periosteal new bone formation